Arch of aorta develops from:
1. Right fourth aortic arch artery
2. Left third aortic arch artery
3. Left fourth aortic arch artery
4. Right third aortic arch artery

Correct answer: 3. Left fourth aortic arch artery

Explanation: Ans. Ans. C: Left fourth aortic arch arteryThe fourth aortic arch persists on both sides, but its ultimate fate is different on the right and left sides.On the left it forms part of the arch of the aorta, between the left common carotid and the left subclavian arteries.On the right it forms the most proximal segment of the right subclavian artery, the distal part of which is formed by a portion of the right dorsal aorta and the seventh intersegmental artery